Retrosternal goiter can be classified as following, except:
1. Substernal.
2. Plunging.
3. Nodular.
4. Intra-thoracic.

Correct answer: 3. Nodular.